In a factory, sickness absenteeism predicts about:-
1. Relationships between employer and employee
2. State of health of workers
3. Critical path method
4. Power and managerial control

Correct answer: 2. State of health of workers

Explanation: Sickness absenteeism is a 'useful index in industry to assess the state of health of workers', and their physical, mental and social well being. 8-10days/ person/year.